The following is of serious pathological significance in infants –
1. Loss of weight
2. Palpable left kidney
3. Palpable spleen
4. Deviation of trachea from midline

Correct answer: 1. Loss of weight

Explanation: An infant should gain weight progressively, except for the first few days of life.
Liver, spleen and kidney may be palpable in normal newborn. ___________________ Nelson
Sometimes trachea may be deviated from midline without any significance.